'Cotton-wool' appearance is seen in
1. Paget's disease
2. Osteosclerosis
3. Periapical cemental dysplasia
4. Ossifying fibroma

Correct answer: 1. Paget's disease